Which of the following anticancer drugs can cause hypecoagulble state
1. 5-FU
2. L-aspargainase
3. Melphalan
4. Carmustine

Correct answer: 2. L-aspargainase

Explanation: L aspargaine causes breakdown of aspargaine and thus interferes withs protein synthesis .It can inhibit the productoon6 of clotting factors as well as anticlotting proteins vein thrombosis and other hyper coagulable states Refer Kkatzung 11/e 955